Protein separation based on moleular size ?
1. HPLC
2. Gel filtration chromatography
3. Salting out
4. Affinity chromatography

Correct answer: 2. Gel filtration chromatography

Explanation: Protein solubility Salting out' or salt extraction (precipitation of protein by ammonium sulfate)Molecular size * Gel filtration chromatography (molecular-sieve chromatography or size exdu- sion chromatography)UltracentrifugationSDS-PAGE (Sodium dodecyl sulphate-polyacrylamide gel electrophoresis)DialysisMolecular charge (Ionic charge) * Ion exchange chromatographyHigh performance liquid chromatography (HPLC)Electrophoresis (simple on cellulose acetate starch gel)lsoelectric focusing (a variant of electrophoresis)Molecular charge and molecular weight PAGE : polyacrylamide gel electrophoresisAffinity binding Affinity chromatographyHydrophobicity Hydrophobic interaction chromatography